Paroxysmal Nocturnal Hemoglobinuria (PN ) is screened by -a) Acid ham testb) Sucrose lysis testc) Serum hapten levelsd) Low serum complement levels
1. ab
2. a
3. ad
4. bc

Correct answer: 1. ab